Globus pallidus and putamen are present in?
1. Pons
2. Thalamus
3. Cerebellum
4. Basal ganglia

Correct answer: 4. Basal ganglia

Explanation: Ans. (d) Basal gangliaRef: Ganong 25th ed. / 244